Ca breast in females is least related to
1. BRCA-1
2. BRCA-2
3. Li Fraumeni syndrome
4. Ataxia telangiectasia

Correct answer: 4. Ataxia telangiectasia

Explanation: Mutation of tumour suppressor genes BRCA1 % BRCA2 is thought to be involved with high risk of breast carcinoma. BRCA1 mutation is having more risk (35-45%) than BRCA2 mutation. BRCA1 is located in the long arm of chromosome 17, whereas BRCA2 is located on the long arm of chromosome13. Li-Fraumen's syndrome(LFS) is autosomal dominant condition with breast cancer inheritance(90%). Breast cancer is also associated with ataxia telangiectasia. But comparing others it is least related to. Reference: SRB's Manual of Surgery, 6th Edition, page no = 522.